Most common site for venous thrombosis -
1. Popliteal vein
2. Soleal vein
3. Femoral vein
4. Internal iliac vein

Correct answer: 2. Soleal vein